A cook prepares sandwitches for 10 people going for picnic. Eight out of them develop severe gastroenteritis within 4-6 hrs of consumption of the sandwitches. It is likely that on 
investigations, the cook is found to be carrier of:
1. Salmonella typhi
2. Vibrio cholerae
3. Entamoeba histolytica
4. Staphylococcus aureus

Correct answer: 4. Staphylococcus aureus

Explanation: Learn this table by heart, every year there is a question on food poisoning.